A patient with bilirubin value of 8mg/dl and serum creatinine of 1.9 mg/dl is planned for surgery. What is the muscle relaxant of choice in this patient:
1. Vecuronium
2. Pancuronium
3. Atracurium
4. Rocuronium

Correct answer: 3. Atracurium

Explanation: C i.e. Atracurium